Bence Jones proteins are derived from:
1. Alpha Globulins
2. Beta Globulins
3. Gamma Globulins
4. Delta Globulins

Correct answer: 3. Gamma Globulins

Explanation: Answer is C (Gamma Globulins) Bence Jones proteins are composed of light chains of the type found in normal or pathological gamma globulins Bence Jones proteins: Review Bence Jones Proteins are abnormal proteins charachteristically found in the urine of patients with multiple myeloma (and other paraprotenemias) These proteins have been shown to be composed of only of immunoglobulin light chains (Normal complete immunoglobulins comprise of both heavy chains and light chains and hence Bence one Proteins are believed to represent Incompete Immunoglobulins Since Bence Jones proteins respresent light chains found in normal immunoglobulins, these proteins also belong to the category of gamma globulins like normal immunoglobulins In multiple myelma (and some other paraproteinemisa) there is excessive production of light chains over heavy chains. These light chains are eliminated in urine as Bence Jones proteins Bence ones proteins can be detected in urine by a charachteristic heat coagulability testdeg due to their very distinctive chemical character. `These proteins (Bence Jones / Light chains) precipitate when heated to between 40degC and 60degC, dissoive an boiling (90degC- 100degC) and reprecipitate when cooled back to between 40degC and 60degC' This unusual heat solubility property of Bence Jones protein is used as a screening test for the presence of urinary Bence Jones proteins.